Tooth movement most likely to relapse unless retention is provided in:
1. Tipping
2. Rotation
3. Extrusion
4. Bodily movements

Correct answer: 2. Rotation